Which derivative of fat soluble vitamin is functioning like a hormone?
1. A
2. D
3. E
4. K

Correct answer: 2. D

Explanation: Vitamin D is really a hormone: Vitamin D is not strictly a vitamin since it can be synthesized in the skin, and under most conditions that is the major source of the vitamin. Only when sunlight exposure is inadequate is a dietary source required. ts main function is in the regulation of calcium absorption and homeostasis; most of its actions are mediated by way of nuclear receptors that regulate gene expression. It also has a role in regulating cell proliferation and differentiation. There is evidence that intakes considerably higher than are required to maintain calcium homeostasis reduce the risk of insulin resistance, obesity and the metabolic syndrome, as well as various cancers. Deficiency, leading to rickets in children and osteomalacia in adults. Ref: Bender D.A. (2011). Chapter 44. Micronutrients: Vitamins & Minerals. In D.A. Bender, K.M. Botham, P.A. Weil, P.J. Kennelly, R.K. Murray, V.W. Rodwell (Eds), Harper's Illustrated Biochemistry, 29e.